Cause of blindness in CRVO
1. Cystoid macular edema
2. Macular hemorrhage
3. Vitreous hemorrhage
4. All of the above

Correct answer: 4. All of the above

Explanation: All are causes of blindness in CRVO but most important is CME.